Renshaw cell inhibition is an example of:
1. Postsynaptic inhibition
2. Feed forward inhibition
3. Recurrent inhibition
4. Collateral inhibition

Correct answer: 3. Recurrent inhibition

Explanation: Renshaw cells are inhibitory cells that transmit inhibitory signals to the surrounding motor neurons. This anterior motor neuron gets excitatory impulses from multiple sources, if all these excitatory inputs were sent to the muscles, muscle will fatigue early, so, there is some inherent check to reduce the excitability of these motor neurons & that is in form of Renshaw cell inhibition. This is recurrent type of inhibition. The inhibitory neurotransmitters Glycine and GABA are involved in Renshaw cell inhibition.